Red degeneration of fibroid is associated with which of the following condition?
1. Pregnancy
2. Aseptic infection
3. Thrombosis
4. Leukocytosis

Correct answer: 1. Pregnancy

Explanation: Red degeneration of fibroid is associated with pregnancy. It is caused by obstruction of the venous flow as the fibroid enlarges during pregnancy. The cut surface shows a reddish purple colour. Patients presents with acute pain, at the site of fibroid in the pregnant uterus. They can also develop mild fever and severe vomiting. Types of degeneration in fibroid: Hyaline change: It is present in two third of the fibroids and is very rarely symptomatic. Cystic change Oedema Red degeneration Calcification Fatty change Ref: Essential of Obstetrics By Arulkumaran page 200, The Yearbook of the Royal College of Obstetricians and Gynaecologists, 1995 edited by John Studd page 166.